Drug of choice for neurogenic diabetes insipidus is ?
1. Vasopressin
2. Terlipressin
3. Desmopressin
4. Pralispressin

Correct answer: 3. Desmopressin